POEMS syndrome is associated with
1. Aplastic anemia
2. RA
3. Polyneuropathy
4. Hemolytic anemia

Correct answer: 3. Polyneuropathy